Which of the following statement about Bedaquiline is TRUE:
1. Mycobacterial ATP synthase inhibitor
2. Does not prolongs QT interval
3. It should be given alone
4. It has cross-resistance with rifampicin

Correct answer: 1. Mycobacterial ATP synthase inhibitor

Explanation: Bedaquiline: - New antitubercular drug for MDR or XDR,- It act by inhibiting ATP synthase in mycobacteria- Food increases the bioavailability - Given along with base line antitubercular drug- Recent studies have shown cross resistance with clofazimine only. It is approved for use for 6 month. Side effect: - Derangement of LFT- Prolongs QT interval Pretomanid in combination withBedaquiline and Linezolid is approved by the FDA for the treatment of extensively drug-resistant, treatment-intolerant or nonresponsive multidrug-resistant pulmonary TB